Vertebral rotation in scoliosis is checked in-
1. Forward bending
2. Backward bending
3. Sideways
4. Without bending

Correct answer: 1. Forward bending

Explanation: *The forward bending test is very sensitive in demonstrating the vertebral rotation that takes place in a structural scoliotic curve. *Quantification of the rotation is done by measuring the rib hump by use of inclinometer or scoliometer. Ref: Oski's Paediatrics, Principles and practice p.2488